Prosthesis at the head of the femur applied in -
1. 40 years young male with # head of femur
2. 40 years young male with # neck of femur
3. 40 years young male with posterior dislocation of hip
4. 65 years old male with nonunited fracture neck of femur

Correct answer: 4. 65 years old male with nonunited fracture neck of femur

Explanation: Non-united fracture means long-standing fracture which has not united. In terms of neck fract,ure non-union is considered when the fracture is not united even after 6 months.
For long-standing fracture in 65 years old male, the treatment of choice is prosthetic replacement either semi-replacement or total replacement depending upon the presence or absence of pre-existing arthritis.